T sign is seen in
1. Genito urinary TB
2. PCOD
3. Spina bifida
4. Membrane in twin pregnancy

Correct answer: 4. Membrane in twin pregnancy

Explanation: T sign - membrane in a monochoronic twin pregnancy.